Choose the true statement regarding dislocation of hip:
1. Posterior dislocation is the most common type
2. Anterior dislocation is the most common type
3. Central dislocation is the most common type
4. Only anterior dislocation is associated with fracture lip of acetabulum

Correct answer: 1. Posterior dislocation is the most common type

Explanation: Ans. A. Posterior dislocation is the most common typeThe posterior dislocation is the most common type of dislocation of hip.There are three main types of dislocations of the hip:* Posterior* Anterior* CentralThe posterior dislocation results from posteriorly directed force to the flexed knee when the hip is also in the flexed position like in car accidents. Patients with an isolated posterior hip dislocation present with hip flexion, adduction, internal rotation, and a shortened extremity.All of the above types of dislocation may be associated with fracture lip of acetabulum.